A 5 yr old male child has multiple hyperpigmented macules over the trunk. On rubbing the lesion with the rounded end of a pen, he developed urticarial wheal confined to the border of the lesion. Most likely diagnosis:
1. FDE
2. LP
3. Urticaria pigmentosa
4. Urticarial vsaculitis

Correct answer: 3. Urticaria pigmentosa

Explanation: Gentle rubbing of a lesion causes local itching, erythema, and wheal formation after 2-5 minutes which may be present for 30 min or few hrs. This is the Darier's sign and is seen in urticaria pigmentosa.